Skin depigmentation b/L chronic uveitis and tinitus are features of -
1. Vogt Koyanagi harada syndrome
2. Waadenberg Syndrome
3. Al po Syndrome
4. Werner's Syndrome

Correct answer: 1. Vogt Koyanagi harada syndrome

Explanation: A i.e. Vogt-Koyanagi Harda Syndrome